A 56-year-old chronic smoker, mass in bronchus resected. What is the possible marker-
1. Cytokeratin
2. Vimentin
3. Epithelial membrane Cadherin
4. Leukocyte

Correct answer: 1. Cytokeratin

Explanation: Squamous cell carcinoma is most commonly found in men and is closely correlated with a smoking histoty.
Histologically, it is characterized by keratinization and intracellular bridges.
Cytokeratin is a marker for keratinizing cells.